HLA-B27 is associated with:
1. Gouty arthritis
2. Rheumatoid arthritis
3. Ankylosing spondylitis
4. Systemic lupus erythematosis

Correct answer: 3. Ankylosing spondylitis

Explanation: (Ankylosing spondylitis): Ref 59- A, 1937-HAnkylosing spondylitis: - There is a strong tendency to familial aggregation and association with the genetic marker HLA - B27* HLA -DR4 occurs in about 70% of people with Rheumatoid arthritis (51 -A)* HLA - B27 markers associated with - Reiter's syndrome, Acute anterior uveitis, Reactive arthritis, Psoriatic spondylitis* SLE is associated with HLA DR2 DR3